Meaning of baby has 15th percentile of head circumference is-
1. 15% of children will have HC more than that
2. 15% of HC, the child is having
3. 15% of children will have HC less than that
4. None.

Correct answer: 3. 15% of children will have HC less than that

Explanation: Ref:Parks 23rd edition Means 15% of children have HC less than that.